Earliest detectable congenital malformation by USG is?
1. Spina bifida
2. Cystic hygroma
3. Anencephaly
4. Encephalocele

Correct answer: 3. Anencephaly

Explanation: Ans. is 'c' i.e. AnencephalyWe could not get any adequate reference but there's no doubt about the answer. If anyone has adequate reference, please mail us at reviewofaiimspgmee.com.